The absolute CONTRAINDICATION to lithium is
1. Renal failure
2. Glaucoma
3. Epilepsy
4. Angina

Correct answer: 1. Renal failure

Explanation: Ans. A i.e. Renal failure